All of the following statements are true regarding Vitamin A deficiency except –
1. Growth retardation is common
2. Frequent infections can occur
3. Hydrocephalus is infrequent
4. Anterior segment of the eye is initially involved

Correct answer: 4. Anterior segment of the eye is initially involved

Explanation: Clinical manifestations of Vit A Deficiency 

The most obvious symptoms of vitamin A deficiency are associated with requirement of this vitamin for maintenance of epithelial functions -


Intestine                                -->           Pathogenic attack causes diarrhea
Respiratory tract -->       Infections & bronchial obstruction
Urinary tract                         -->          UTI and caliculi
Skin                                        -->           Dry, scaly, hyperkeratotic patches
Squamous metaplasia of renal pelves, ureter, vaginal epithelium, and pancreatic & salivary ducts.


Poor growth because of


Above health problems in children
Vitamin A helps in bone growth ---> deficiency may retard growth


The most characteristic and specific sign of vitamin A deficiency are eye lesions. Which include night blindness, conjuctival xerosis, Bitot's spots, corneal xerosis and keratomalacia. The term xerophthalmia (dry eye) comprises all the ocular manifestations of vitamin A deficiency.
Other features are -

i)    Skin becomes toad like (phrynoderma). But it is due to associated deficiency of essential fatty acids.
ii) Vitamin A deficiency may rarely lead to hydrocephalus.